Secular trend is:
1. Trend over short passage of time
2. Trend over long passage of time
3. Periodic changes
4. Sudden explosive changes

Correct answer: 2. Trend over long passage of time

Explanation: Trend over long passage of time